Denominator for calculating infant mortality rate is:
1. 1000 population
2. 1000 births
3. 1000 live births
4. 1000 pregnancies

Correct answer: 3. 1000 live births

Explanation: Ans. C: 1000 live births IMR = Number of deaths of children less than 1 year of age in a year X 1000/number of live births in the same year IMR is universally regarded a s not only as a most important indicator of the health status of a community but also the level of living of people in general, and effectiveness of MCH services in particular. It is expressed as a rate per 1000 live births.